Main MOA brimonidine in glaucoma -
1. Decreased aqueous secretion
2. Increased trabecular outflow
3. Increased uveoscleral outflow
4. Reduce vitreous volume

Correct answer: 1. Decreased aqueous secretion

Explanation: Brimonidine (0.2% : 2 times/day). It is a selective alpha-2-adrenergic agonist and lowers IOP by decreasing aqueous production. Because of increased allergic reactions and tachyphylaxis rates it is not considered the drug of first choice in POAG. It is used as second drug of choice and also for combination therapy with other drugs. Ref.AK Khurana 4th edition page no 223